Which of the following physiological action is NOT done by insulin?
1. Glycogen synthesis
2. Glycolysis
3. Lipogenesis
4. Ketogenesis

Correct answer: 4. Ketogenesis

Explanation: Ketogenesis occurs in insulin deficiency. Principal Actions of Insulin: Rapid (seconds) Increased transport of glucose, amino acids, and K+ into insulin-sensitive cells Intermediate (minutes) Stimulation of protein synthesis Inhibition of protein degradation Activation of glycolytic enzymes and glycogen synthase Inhibition of phosphorylase and gluconeogenic enzymes Delayed (hours) Increase in mRNAs for lipogenic and other enzymes Ref: Barrett K.E., Barman S.M., Boitano S., Brooks H.L. (2012). Chapter 24. Endocrine Functions of the Pancreas & Regulation of Carbohydrate Metabolism. In K.E. Barrett, S.M. Barman, S. Boitano, H.L. Brooks (Eds), Ganong's Review of Medical Physiology, 24e.